The feature of JVP in cardiac tamponade is
1. Prominent x descent with prominent y descent
2. Prominent x descent with absent y descent
3. Absent x descent with prominent y descent
4. Absent x descent with absent y descent

Correct answer: 2. Prominent x descent with absent y descent